Appropriate material for antenatal diagnosis of genetic disorders includes all of the following except:
1. Fetal blood
2. Amniotic fluid
3. Chorionic villi
4. Maternal urine

Correct answer: 4. Maternal urine

Explanation: PROCEDURES FOR EARLY DETECTION OF FETAL GENETIC ,CHROMOSOMAL AND STRUCTURAL ABNORMALITIES * Maternal serum alpha feto protein (MSAFP) * Fetal cell isolation from maternal blood--genetic analysis from isolated fetal nucleated red blood cells or trophoblast cells * Cell free fetal DNA from maternal blood * Chorion villus biopsy * High resolution ultrasonography for (nuchal thickening, nasal bone) * Triple test (combined test): MSAFP, Unconjugated estriol (E3) and hCG. * Quadruple test: (MSAFP, UE3, hCG, Inhibit-A) * Integrated test: NT, PAPP-A + hCG. * Cordocentesis * Fetoscopy * Peri-implantation genetic diagnosis * 3D or 4D ultrasound with increased resolution Reference: Dutta's Textbook of obstetrics 7th edition page no 493